An increase in heart rate and renin release seen in patients of CHF can be overcome by which of the following drugs:
1. Minoxidil
2. Metoprolol
3. Metolazone
4. Milrinone

Correct answer: 2. Metoprolol